Which of the following vitamin deficiencies is most commonly seen in short bowel syndrome -
1. Vitamin B12
2. Biotin
3. Vitamin B1
4. Vitamin K

Correct answer: 1. Vitamin B12